How does staphylococcus aureus differ from staphylococcus epidermidis?
1. It is coagulase positive
2. It is a common cause of UTI
3. It forms white colonies on blood agar
4. It causes endocarditis in drug addicts

Correct answer: 1. It is coagulase positive

Explanation: Staphylococcus aureus is coagulase positive whereas staphylococcus epidermidis is coagulase negative. Other coagulase negative staphylococci are S haemolyticus, S saccharolyticus, S hominis, S schleiferi, S lugdunensis and S simulans. Test Staphylococcus aureus Staphylococcus epidermidis Coagulase Positive Negative Clumping factor Positive Negative Heat stable nuclease Positive Negative Urease Variable Negative Acid from mannitol Positive Negative Acid from trehalose Positive Negative Ref: Textbook of Microbiology and Immunology By Parija, Pages 188-190